Earliest symptom of Congenital Glaucoma
1. Lacrimation
2. Blepharospasm
3. photophobia
4. Diminision of vision

Correct answer: 3. photophobia

Explanation: Earliest but nonspecific symptom of Congenital Glaucoma is photophobia